Before puberty, what is the ratio between the cervical length & uterine body?
1. 1:02
2. 2:01
3. 1:03
4. 1:04

Correct answer: 2. 2:01

Explanation: Ratio of cervix : uterus length , Before puberty it is 2: 1 After puberty it is 1: 2